A college football player reports knee pain along the medial joint line with intermittent locking and inability to fully extend the knee after a twisting injury to his right knee. He has a negative Lachman test and a positive McMurray test. What is the most likely diagnosis
1. ACL injury
2. PCL injury
3. Bucket-handle medial meniscus tear
4. Longitudinal vertical lateral meniscus tear

Correct answer: 3. Bucket-handle medial meniscus tear

Explanation: The patient has a bucket-handle medial meniscus tear after an acute injury. Such tears are associated with knee locking and a block to full extension. These tears are more common in young patients, often associated with ACL tears, and are the most commonly missed meniscal tear on MRI.